Mass vaccination is ineffective in inducing 'herd immunity' for:
1. Measles
2. Poliomyelitis
3. Tetanus
4. None of the above

Correct answer: 3. Tetanus

Explanation: Herd Immunity: -Reduction of infection / disease in unimmunized segment as a result of immunizing a proportion of population. - It is d/t reduced carriage of the causative microorganism by the vaccinated cohort - Thus, seen only with vaccines against those diseases where humans are the only source -An effective vaccine is prerequisite for good herd effect. e.g. conjugated pneumococcal vaccine - Tetanus & BCG vaccines have no herd effect. So, mass vaccination is ineffective.